Hairy leukoplakia is characterized by?
1. Pain
2. EBV infection
3. No association with HIV
4. Pre-cancerous

Correct answer: 2. EBV infection

Explanation: Ans. is 'b' i.e. EBV infection Hairy leukoplakia (Oral hairy leukoplakia, OHL)* It is a condition caused by Epstein-Barr virus (EBV) and occurs usually in persons who are immunocompromised, especially those with HIV/AIDS.* It presents an asymptomatic white patch, which almost exclusively occurs on the lateral surfaces of the tongue. The lesion may grow to involve the dorsal surface of the tongue.* The texture is vertically corrugated ("hairy") or thickly furrowed and shaggy in appearance* The white appearance is created by hyperkeratosis (overproduction of keratin) and epithelial hyperplasia* Treatment is not necessary since the lesion is benign & self-limiting.